Which of the following poisoning is associated with 'phossy jaw'?
1. Mercury
2. Yellow phosphorous
3. Red phosphorous
4. Tetanus

Correct answer: 2. Yellow phosphorous

Explanation: Phossy jaw is a condition in which osteomyelitis and necrosis of jaws occurs with multiple sinuses discharging foul smelling pus. It is observed in chronic cases of yellow phosphorus poisoning. It occurs with chronic inhalation of fumes of yellow phosphorus over a period of years causing necrosis of the lower jaw in the region of a decayed tooth.